In low dose aspirin acts on
1. Cyclooxygenase
2. Thromboxane A2 syntahse
3. PGI2 synthase
4. Lipooxyngenase

Correct answer: 1. Cyclooxygenase

Explanation: Refer KDT 6 /e p 609 Aspirin acts by inhibiting the enzyme cyclooxygenase